Chassarmoir surgery is done in
1. Uterine inversion
2. Vesicovaginal fistula repair
3. Ureterovesical fistula repair
4. Retroverted uterus

Correct answer: 2. Vesicovaginal fistula repair

Explanation: Chassarmoir technique Used for repair of vesicovaginal Fistula Technique: Flap splitting method Bladder and vaginal are widely separated and sutured in two layers Ref: SHAW'S TEXTBOOK OF GYNECOLOGY; 15th edition; Pg no:187